The artery to the ductus deferens is a branch of-
1. Inferior epigastric artery
2. Superior epigastric artery
3. Superior vesical artery
4. Cremasteric artery

Correct answer: 3. Superior vesical artery

Explanation: Superior vesical artery gives a branch to ductus deferens.